A schizophrenic patient started on haloperidol 2 days back, comes with complaints of torticollis and Orofaciolingual movements. What is the diagnosis?
1. Acute dystonia
2. Tardive dyskinesia
3. Parkinsonism
4. Akathisia

Correct answer: 1. Acute dystonia

Explanation: Facial grimacing , tics, muscle spasm , protruding tongue and similar involuntary movements can occur in first few days of starting anti psychotics . Parkinsonism maybe noticed in the first few weeks . Tardive dyskinesia develops after years of therapy. Ref KD Tripati 8th ed.